Brain death means loss of-a) Cortical functionb) Brain stem functionc) Spinal reflexesd) Corneal reflex
1. acd
2. bcd
3. abc
4. abd

Correct answer: 4. abd